During the Window period of patient with AIDS ?
1. ELISA is - ye
2. Western Blot is - ye
3. Both are - ye
4. PCR is - ve

Correct answer: 3. Both are - ye

Explanation: Ans. is 'c' i.e. Both are (-) ye